One of the following is the most specific cardiac anomaly of a newborn to a diabetic mother:
1. VSD
2. Transposition of great vessels
3. PDA
4. Pulmonic stenoisis

Correct answer: 2. Transposition of great vessels

Explanation: Congenital malformation in fetus of a diabetic mother : * M/C system involved in congenital malformation CVS > CNS * Most specific structural anomaly seen - caudal regression syndrome ( sacral agenesis ) * Most specific cardiac anomaly seen in babes of diabetic mother - TGV